Which drug is not used in SIADH -
1. Fludrocortisone
2. Demeclocycline
3. Desmopressin
4. Hypertonic saline

Correct answer: 3. Desmopressin

Explanation: demeclocycline inhibit vasopression action in renal distal tubule.severe hyponatremia require treatment with hypertonic saline and fludrocortisone ( Harrison 17 pg 620)